ANCA negative vasculitis among the following is
1. Wegener's granulomatosis
2. Churg - Strauss syndrome
3. Polyarteritis nodosa
4. Microscopic polyangiitis

Correct answer: 3. Polyarteritis nodosa

Explanation: c- ANCA predominant vasculitis p- ANCA predominant vasculitis 1. Wegener`s granulomatosis Microscopic polyangiitis Churg-Strauss syndrome Crescentic glomerulonephritis